Abdul Khan presents with pain, numbness and impaired sensation over half of the face along with ataxia, nystagmus, dysphagia and hoarseness of voice. His pain and thermal sensations over opposite half are impaired). Homer's syndrome is present. Likely cause of the disease is thrombosis of which vessel?
1. AICA (Anterior inferior cerebellar artery)
2. PICA (Posterior inferior cerebellar artery)
3. Basilar
4. Pontine vessels

Correct answer: 2. PICA (Posterior inferior cerebellar artery)

Explanation: Answer is B (Posterior inferior cerebellar artery): The patient in question is presenting with .symptoms typical of lateral medullary syndrome or wallenberg syndrome. Amongst the options provided occlusion of post inferior cerebellar artery is the most common cause of this syndrome. `Most cases result from ipsilateral vertebral artery occlusion; in the reminder occlusion of posterior inferior cerebellar artery is responsible' -- Harrison 16`/ 2385 Vessel occlusion that result in Lateral Medullary syndrome: - Vertebral (most common) - Posterior inferior cerebellar (2nd most common) - Superior, middle or Inferior lateral medullary arteries Lateral medullary syndrome (Wallenberg syndrome): Vertigo Numbness of ipsilateral face and contralateral limbs Diplopia Dysphagia Dysarthria Ataxia Hoarseness